Which structure prevents spread of infection form middle ear to brain ?
1. Tegmen tympani
2. Cribriform plate
3. Fundus tympani
4. Petrous apex

Correct answer: 1. Tegmen tympani

Explanation: Ans. is 'a' i.e., Tegmen tympani Tegmen tympani (forming the roof of middle ear cavity) separates the tympanic cavity from middle cranial fossa.